All of the following are seen in anxiety except:
1. Decreased sweating
2. Hyperventilation
3. Cold extremities
4. Palpitations

Correct answer: 1. Decreased sweating

Explanation: Symptoms of Anxiety disorder Psychological Fearful anticipation Irritability Sensitivity to noise Restlessness Poor concentration Depression Obsessions Depersonalization Physical Difficulty in swallowing Gastrointestinal Epigastric discomfort Excessive wind (due to air swallowing) Frequent or loose motions Respiratory Constriction in the chest Difficulty inhaling Overbreathing Cardiovascular Palpitations Discomfort in chest Awareness of missed beats Genitourinary Frequent or urgent micturition Failure of erection Menstrual discomfort Amenorrhoea Neuromuscular Tremor Prickling sensations Tinnitus Dizziness (unsteadiness rather than a rotational sensation) Bilateral headache Aching muscles (especially in the back and shoulders) Sleep disturbance Insomnia Night terrors